Ramavati a 40 years old female presented with a progressively increasing lump in the parotid region. On oral examinatious, the tonsil was pushed medially. Biopsy showed it to be pleomorphic adenoma. The appropriate tratment is -
1. Superficial parotidectomy
2. Lumpectomy
3. Conservative total parotidectomy
4. Enucleation

Correct answer: 3. Conservative total parotidectomy

Explanation: In this pt. deep lobe of parotid is involved (as suggested by medial displacement of the tonsil) so total parotidectomy is done conserving the facial nerve.
Schwartz writes- "Benign tumors of the superficial lobe of parotid should be removed with a clear margin by superficial lobectomy. If the deep lobe is involved, total parotidectomy may be required even for benign disease."